Of the different epidemiological study designs available to test the association between risk factor and disease, the best design is of
1. Case control study
2. Ecological study
3. Cohort study
4. Cross sectional study

Correct answer: 3. Cohort study

Explanation: Cohort study is also known as incidence study. The cohorts are identified prior to the appearance of disease under investigation. The study group so defined are observed over a period of time to determine the frequency of disease among them. Ref: 25th edition, Park's Textbook of Preventive and Social Medicine, Page no. 83